Popcorn cells are seen in which variety of hodgkin's disease ?
1. Nodular sclerosis
2. Mixed cellularity
3. Lymphocyte predominant
4. Lymphocyte depletion

Correct answer: 3. Lymphocyte predominant

Explanation: Ans. is 'c' i.e., Lymphocyte predominant Popcorn cells are found in lymphocytic predominant type of Hodgkin's Lymphoma.